Which of the following drug has uricosuric action?
1. Nifedipine
2. Amlodipine
3. Atenolol
4. Carvedilol

Correct answer: 2. Amlodipine

Explanation: Amlodipine, losartan & fenofibrate have mild uricosuric action. Benzbromarone is new uricosuric drug.